Initial starting dose of clomiphene citrate in case of infertility is -
1. 30mg/d
2. 40mg/d
3. 50mg/d
4. 60mg/d

Correct answer: 3. 50mg/d

Explanation: Ans. is 'c' i.e., 50mg/do It acts as a pure estrogen antagonist in all human tissues.Ovulation should be induced with clomipthene qtrate (CC), with a dose of 5O mgday staingfrom day 2 to day 6 of the cycle for 5 days.If the response to 50 mg CC is not satisfactory, the dose of CC should be increased to 100 mg/day from day 2 to day 6.